A 70 year old man was administered, penicillin i.v. Within 5 minutes, he developed generalized urticaria, swelling of lips, hypotension and bronchospasm. The first choice is to administer :
1. Chlorpheniramine inj
2. Epinephrine inj
3. High dose hydrocortisone tablet
4. Nebulized salbutamol

Correct answer: 2. Epinephrine inj